Which one of the antitubercular drug may precipitate gout :
1. Pyrazinamide
2. Rifampicin
3. Streptomycin
4. Isoniazid

Correct answer: 1. Pyrazinamide